Microbiological waste should be segregated in which color bag:
1. Yellow
2. Red
3. Blue
4. Black

Correct answer: 1. Yellow

Explanation: Ans. A. YellowColor coded bagItemYellow bagInfectious non-plastic (Anatomical & microbiological)Red bagInfectious plastic wasteWhite/Translucent sharp container (Puncture proof box)Metal sharpBlue container (Puncture proof box)Broken glass items and metal implants